In case of fenestration and dehiscence type of flap indicated is
1. Full thickness flap
2. Partial thickness flap
3. Any of the above
4. None of the above

Correct answer: 2. Partial thickness flap